Which of the following drug increase activity ofwarfarin?
1. OCP
2. Cimetidine
3. Griseofulvin
4. Phenytoin

Correct answer: 2. Cimetidine

Explanation: Ans. is 'b' i.e., Cimetidine